IQ = 20-34 -
1. Severe MR
2. Profound MR
3. Moderate MR
4. Mild MR

Correct answer: 1. Severe MR

Explanation: WHO classification of mental retardation (MR) mild MR ...IQ 50-70 moderate MR....IQ 35-49 severe MR....IQ 20-34 profound MR... IQ undere 20 ref; (page no;582) 23rd edition of PARK's textbook of Preventive and Social medicine